Dura is supplied by all cranial nerves except
1. 12
2. 10
3. 5
4. 4

Correct answer: 4. 4

Explanation: D i.e. 4